"Rugger Jersey Spine" is seen in :
1. Fluorosis
2. Achondroplasia
3. Renal Osteodytrophy
4. Marfan's Syndrome

Correct answer: 3. Renal Osteodytrophy

Explanation: Ans. Renal Osteodytrophy